Which of the following is a peroxisomal free radical scavenger?
1. Superoxide dismutase
2. Glutathione peroxidase
3. Catalase
4. Selenium

Correct answer: 3. Catalase

Explanation: Ref Robbins 9/e p15 Catalase, present in peroxisomes, catalyzes the decom- position of hydrogen peroxide (2H2O2 - O2 + 2H2O). It is one of the most active enzymes known, capable of degrading millions of molecules of H2O2 per second. * Endogenous or exogenous antioxidants (e.g., vitamins E, A, and C and b-carotene) may either block the forma- tion of free radicals or scavenge them once they have formed.